Concentration of sodium in Ringer lactate in (meq/L) is
1. 154
2. 120
3. 130
4. 144

Correct answer: 3. 130

Explanation: Concentration of sodium in Ringer lactate is 130meq/L
Concentration of sodium in Normal saline is 154meq/L